Acetylation of histones results in which of the following modification?
1. Increased Heterochromatin formation
2. Increased mRNA production
3. Activate Deacetylases
4. Arginine Methylation

Correct answer: 2. Increased mRNA production

Explanation: Pretranscriptional control refers to the carefully controlled and selective unwinding of chromatin to facilitate gene expression. It is known that modification of histones is functionally important in this process. Enzymatic attachment of an acetyl group to certain amino acids in histones is critical - Acetylation of histones. The acetylation of histones affects the charge interactions with DNA, resulting in unwinding of DNA at that specific location, and thereby facilitates subsequent steps required to generate nascent mRNA. Conversely, deacetylation of histones can result in rewinding of chromatin and inhibition of gene expression. This modification of histones is carried out by a large family of enzymes termed histone acetyl transferases (HATs) and histone deacetylases (HDACs). Why is this topic important and frequently asked? 1. Cardiovascular biology: E.g. Experimental studies in mice lacking specific HATs or HDACs can profoundly alter processes such as blood vessel development or cardiac hypertrophy. Because acetylation and deacetylation are enzymatic processes, they are amenable to pharmacologic manipulation. Indeed, agents such as trichostatin A have been shown to ameliorate cardiac hypertrophy in rodents. 2. Chromatin modification: Acetylation is perhaps the most well-studied chromatin modification so far. However others such as lysine/arginine methylation, serine phosphorylation, and ubiquitination are also likely to be important areas from both a scientific and therapeutic perspective for the future. Ref: Walsh R.A., Jain M.K., Proweller A. (2011). Chapter 6. Principles of Molecular Cardiology. In V. Fuster, R.A. Walsh, R.A. Harrington (Eds), Hurst's The Heart, 13e.